All of the following are Glucocorticoid synthesis Inhibitors except?
1. Metyrapone
2. Mifepristone
3. Etomidate
4. Ketoconazole

Correct answer: 2. Mifepristone

Explanation: Mifepristone is a pharmacological antagonist at the steroid receptor. It is not a Glucocoocoid synthesis. Enzyme Inhibitor. Glucocorticoid synthesis Inhibitors & Glucocorticoids Antagonists: Glucocoocoid synthesis enzyme Inhibitors Blockade of Cortisol Action Adrenal Enzyme Inhibitors Ketoconazole Metyrapone Etomidate Adrenolytic agents Mitolane (It also inhibits CYP11A1 thereby reducing steroid synthesis) Mifepristone Ref: Goodman and Gilman 13th edition Pgno: 858